Antigen antiboey reaction is detected by:
1. ELISA
2. Southern blot
3. Northern blot
4. All

Correct answer: 1. ELISA

Explanation: A i.e. ELISA